The Gall stone pain is referred to the shoulder through which of the following nerves:
1. C
2
-C
8
2. T
1
-T
4
3. T
8
-T
12
4. C
3
-C
5

Correct answer: 4. C
3
-C
5